Calabar swelling is produced by -
1. Onchocerca volvulus
2. Loa loa
3. Burgia malayi
4. Wuchereria bancrofti

Correct answer: 2. Loa loa

Explanation: Loa loa/African eye worm The pathogenesis of loiasis depends on the migratory habit of the adult worm. Their wanderings through subcutaneous tissues set up temporary foci of inflammation, which appear as swellings, of up to 3 cm in size. These are the calabar swellings. They are called fugitive swellings, because they disappear in a few days, only to reappear elsewhere. Ocular manifestations occur when the worm reaches the subconjunctival tissues during its wanderings. The ocular lesions include granulomata in the bulbar conjunctiva, painless oedema of the eyelids and proptosis. REF:TEXTBOOK OF MEDICAL PARASITOLOGY;CKJ PANIKER;6TH EDITION;PAGE NO 209